Sumatriptan is
1. 5-HT 1D/1B agonists
2. 5-HT 1D/1B antagonist
3. 5-HT 1A agonist,
4. 5-HT 1A antagonist

Correct answer: 1. 5-HT 1D/1B agonists

Explanation: Sumatriptan a 5-HT 1D/1B agonist is used for acute migraine attacks. Buspirone, a 5-HT 1A agonist is an effective nonbenzodiazepine anxiolytic. ref - harrisons internal medicine 20e pg3100